maternal disomy of chromosomes 15 is seen in
1. A. Prader Willi syndrome
2. B. Klinefelter syndrome
3. C. Angelman syndrome
4. D. Turner's syndrome

Correct answer: 1. A. Prader Willi syndrome

Explanation: Prader Willi syndrome could be present because of the following ; Deletion of paternal chromosome 15 .Or Uniparentral disomy of maternal chromosome 15 refer robbins 8/172